Guy's aprosexia is seen in -
1. Chronic laryngitis
2. Chronic adenoiditis
3. Allergic rhinitis
4. Acute tonsillitis

Correct answer: 2. Chronic adenoiditis

Explanation: Adenoiditis is an inflammation of the adenoids caused by infection.
Adenoids are masses of lymphatic tissue that help the body fight infection.
Adenoids are found in the throat, also called the pharynx, just behind the nose.
Along with the tonsils, adenoids are the first line of defence against bacteria and viruses.